Lucid interval is seen in:
1. Extradural haemorrhage
2. Subdural haemorrhage
3. Subarachnoid haemorrhage
4. Cerebral lacerations

Correct answer: 1. Extradural haemorrhage

Explanation: (Extradural haemorrhage): Ref: 4.103, 6.4 - PLucid - Interval, -is the state of consciousness between the two states of unconsciousness, Seen in extradural (epidural) haemorrhage and* Lucid interval is commonly met with a depression and mania (bipolar disorder)* During this period, the insane person can make a valid will, and can give evidence, which is validLucid interval in Insanity and Head InjuryInsanityHead injury1. History of insanity present2. Other manifestations of insanity precede the occurrence of lucid interval3. Other symptoms of insanity return after lucid interval4. It often occurs frequently1. That of injury to the head as in RTA fall from a height2. Concussion precedes lucid interval3. Cerebral irritation and compressions of the follow lucid intervals causing unconsciousness in the end4. Only once during the cource of injury